X-bodies called Birbeck granules are characteristically seen in -
1. Granulomatous vasculitis
2. Pulmonary alveolar proteinosis
3. Langerhan's cells granulomatosis
4. Idiopathic pulmonary alveolar proteinosis

Correct answer: 3. Langerhan's cells granulomatosis